A 30-year-old woman presented with secondary amenorrhoea for 3 years along with galactorrhoea. The most likely cause of her symptoms would be -
1. Craniopharyngioma
2. Prolactinoma
3. Meningioma
4. Sub-arachnoid haemorrhage

Correct answer: 2. Prolactinoma